This fair-skinned child may be suffering with which of the following diseases?
1. Von Gierke disease
2. Alkaptonuria
3. Albinism
4. Tyrosinemia

Correct answer: 3. Albinism

Explanation: Defect in Tyrosinase leads to Albinism, which presents with hypopigmentation. Von Gierke disease- doll like facies Alkaptonuria- grey discoloration of sclera, ear & nose cartilage (ochronosis)